Increased level of 5 HIAA is seen in which disease:
1. Carcinoid tumor
2. Phenylketonuria
3. Pheochromocytoma
4. Gastrinoma

Correct answer: 1. Carcinoid tumor

Explanation: Ans. (a) Carcinoid tumorRef: Bailey and Love 27th edition, Page 1251/Sabiston 20th edition, Page 1273Diagnosis of carcinoid tumors (NET):* NET produce serotonin in enormous amount -- which is then metabolized in lungs and liver to inactive product known as 5-hydroxyindoleaceticacid.* Increased urinary levels of 5-HIAA in 24 hours urinary samples is used to diagnose Carcinoid tumor. It is more specific to diagnose. Sensitivity is low.* A combination of 5HIAA and Chromogranin A is used to diagnose the tumor with increased sensitivity and specificity* Chromogranin A is better than 5 HIAA in diagnosis as alone.* Now a new combination of Chromogranin A + N-terminal pro brain natriuretic peptide (NT-pro BNP) to diagnose as well as to show the worse survival of the patients.